Which of the following would best explain a prolonged bleeding time test?
1. Hemophilia A
2. Hemophilia B
3. Thrombocytopenia
4. Coumadin use

Correct answer: 3. Thrombocytopenia

Explanation: Three major tests are used to determine coagulation defects. PT(Prothrombin time)- is used to test the extrinsic pathway aPTT(Activated Partial Thromboplastin Time)-is used to test the intrinsic pathway BT(Bleeding time)- after a small cut is used to test for several clotting factors but is especially prolonged by a lack of platelets (Thrombocytopenia).